Best mode to control leprosy eradication-programme is -
1. Mass chemotherapy
2. Early diagnosis and treatment
3. High risk chemotherapy
4. Health education

Correct answer: 2. Early diagnosis and treatment

Explanation: Ans. is `b' i.e., Early diagnosis and treatment Early diagnosis & Treatment is the most important part of NLEP. Note: Other diseaes for which early diagnosis & treatment is the most important step in control TB, STD.